H. Influenzae true statement is/are
1. Capsulated coccobacilli, shows pleomorphism.
2. Stained by Loeffler's methylene blue/Dilute carbol fuchsin
3. Shows satellitism (dependent upon V factor).
4. All of the above

Correct answer: 4. All of the above